All of the following are true about opioids except ?
1. Naloxone is short acting
2. Naltrexone is used to lower craving in alcoholics
3. Nalmefene can be used for opioid poisoning
4. Nalmefene is shorter acting than naloxone

Correct answer: 4. Nalmefene is shorter acting than naloxone